The most common cause of Addison's disease is:
1. Autoimmune adrenalitis
2. Meningococcal septicemia
3. Malignancy
4. Tuberculosis

Correct answer: 1. Autoimmune adrenalitis

Explanation: Primary Chronic Adrenocortical Insufficiency (Addison Disease) Uncommon disorder resulting from progressive destruction of the adrenal cortex More than 90% of all cases are attributable to one of four causes: Autoimmune adrenalitis Accounts for 60% to 70% of cases; it is by far the most common cause of primary adrenal insufficiency in developed countries Infections Particularly tuberculosis and those produced by fungi- histoplasmosis, AIDS Tuberculous adrenalitis, which once accounted for as much as 90% of cases of Addison disease, has become less common with the development of antituberculous agents Genetic conditions - Adrenogenital syndromes Metastatic cancers.